The best possible intervention for acute myocardial infarction is -
1. Streptokinase
2. Streptokinase and aspirin
3. Early primary coronary intervention
4. Streptokinase and heparin

Correct answer: 3. Early primary coronary intervention

Explanation: Ref : harrisons-manual-of-medicine-16th-edition pg no: 622-624 TREATMENT Initial Therapy Initial goals are to: (1) quickly identify if patient is candidate for reperfusion therapy, (2) relieve pain, and (3) prevent/treat arrhythmias and mechanical complications. * Aspirin should be administered immediately (162-325 mg chewed at presentation, then 162-325 mg PO qd), unless pt is aspirin-intolerant. * Perform targeted history, exam, and ECG to identify STEMI (1 mmST elevation in two contiguous leads or new LBBB) and appropriateness of reperfusion therapy , which reduces infarct size, LV dysfunction, and mortality. * Primary PCI is generally more effective than fibrinolysis and is preferred at experienced centers capable of performing procedure rapidly , especially when diagnosis is in doubt, cardiogenic shock is present, bleeding risk is increased, or if symptoms have been present for 3 h. * Proceed with IV fibrinolysis if PCI is not available or if logistics would delay PCI 1 h longer than fibrinolysis could be initiated (Fig. 123-1). Dooo- needle time should be  30 min for maximum benefit. Ensure absence of contraindications before administering fibrinolytic agent. Those treated within 1-3 h benefit most; can still be useful up to 12 h if chest pain is persistent or ST remains elevated in leads that have not developed new Q waves. Complications include bleeding, reperfusion arrhythmias, and, in case of streptokinase (SK), allergic reactions. Heparin should be initiated with fibrinolytic agents other than SK ; maintain aPTTT at 1.5-2.0 control (50-70 s). * If chest pain or ST elevation persists 90 min after fibrinolysis, consider referral for rescue PCI. Later coronary angiography after fibrinolysis generally reserved for pts with recurrent angina or positive stress test. The initial management of NSTEMI (non-Q MI) is different . In particular, fibrinolytic therapy should not be Additional Standard Treatment (Whether or not reperfusion therapy is undertaken): * Hospitalize in CCU with continuous ECG monitoring. * IV line for emergency arrhythmia treatment. * Pain control: (1) Morphine sulfate 2-4 mg IV q5-10min until pain is relieved or side effects develop ; (2) nitroglycerin 0.3 mg SL if systolic bp  100 mmHg; for refractory pain: IV nitroglycerin (begin at 10 g/min, titrate upward to maximum of 200 g/min, monitoring bp closely); do not administer nitrates within 24 h of sildenafil or within 48 h of tadalafil (used for erectile dysfunction); (3) -adrenergic antagonists * Oxygen 2-4 L/min by nasal cannula (maintain O2 saturation  90%). * Mild sedation (e.g., diazepam 5 mg PO qid). * Soft diet and stool softeners (e.g., docusate sodium 100-200 mg/d). * -Adrenergic blockers reduce myocardial O2 consumption, limit infarct size, and reduce mortality. Especially useful in pts with hypertension, tachycardia, or persistent ischemic pain; contraindications include active CHF, systolic bp  95 mmHg, heart rate  50 beats/min, AV block,or history of bronchospasm. Administer IV (e.g., metoprolol 5 mg q5-10min to total dose of 15 mg), followed by PO regimen (e.g., metoprolol 25-100 mg bid). * Anticoagulation/antiplatelet agents: Pts who receive fibrinolytic therapy are begun on heparin and aspirin as indicated above. In absence of fibrinolytic therapy, administer aspirin, 160-325 mg qd, and low-dose heparin (5000 U SC q12h for DVT prevention). Full-dose IV heparin (PTT 2 control) or low-molecular-weight heparin (e.g., enoxaparin 1 mg/kg SC q12h) followed by oral anticoagulants is recommended for pts with severe CHF, presence of ventricular thrombus by echocardiogram, or large dyskinetic region in anterior MI. Oral anticoagulants are continued for 3 to 6 months, then replaced by aspirin. * ACE inhibitors reduce mortality in pts following acute MI and should be prescribed within 24 h of hospitalization for pts with STEMI--e.g., captopril (6.25 mg PO test dose) advanced to 50 mg PO tid. ACE inhibitors should be continued indefinitely after discharge in pts with CHF or those with asymptomatic LV dysfunction ; if ACE inhibitor intolerant, use angiotensin receptor blocker (e.g., valsartan or candesartan). * Serum magnesium level should be measured and repleted if necessary to reduce risk of arrhythmias.